Father’s blood group is ‘A’ & mother’s blood group is ‘AB'. Which of the following blood group is not possible in any of their children?
1. A
2. B
3. O
4. AB

Correct answer: 3. O